A drug used in acute gout -
1. Allopurinol
2. Probenacid
3. Colchicine
4. Sulfinpyrazone

Correct answer: 3. Colchicine

Explanation: Drugs used in acute gout :- NSAIDs (drugs of choice), colchicine (fastest acting drug), corticosteroids.
Drugs used in chronic gout :- Allopurinol (drug of choice), probenecid, sulfinpyrazone.